Sympathetic ganglion develops from ?
1. Surface ectoderm
2. Mesoderm
3. Neural crest
4. Mesenchymal neuroectoderm

Correct answer: 3. Neural crest

Explanation: Ans. is 'c' i.e., Neural crest